Internal spermatic fascia is derived from -
1. External oblique muscle
2. Internal oblique muscle
3. Fascia transversalis
4. Colie's fascia

Correct answer: 3. Fascia transversalis

Explanation: Ans. is 'c' i.e., Fascia transversalis o The layers of scrotum from outside to inside are:-i) Skinii) Dartos muscle (smooth muscle layer) continous with Code's fascia of perineum posteriorly and Scarpa's fascia and Camper's fascia anteriorly.iii) The external spermatic fascia, extension from external oblique.iv) The cremastric muscle, continuous with fascia from internal oblique.v) The internal spermatic fascia, continuous with fascia from fascia transversalis.